The following statement is false regarding beta-lactam group of antibiotics?
1. Pencillins are more active against gram positive organisms
2. Amoxycillin is not suitable for meningitis
3. Pencilloic acid is the active moiety
4. Pencillin V and Pencillin G are natural pencillins

Correct answer: 3. Pencilloic acid is the active moiety

Explanation: The active moiety in Pencillins having antibacterial property is 6 amino penicillanic acid which contains beta-lactam ring. Pencilloic acid is responsible for pharmacokinetic properties.Ref: HL Sharma 3rd ed. Pg: 728